In an 8 day old child with no history of consanguinity in the parents, the mother reports blisters and bleeding off of the skin at the site of handling and pressure. There was a similar history in the previous child which proved to be fatal. The diagnosis is
1. Bullous pemphigoid
2. Congenital syphilis
3. Congenital epidermolysis bullosa
4. Letterer - Swiwe disease

Correct answer: 3. Congenital epidermolysis bullosa

Explanation: In congenital epidermolysis bullae is a family of disorders that have the common feature of blistering in response to a mild trauma. It arises from defects of attachment of basal keratinocytes to the underlying dermis. In congenital syphilis any type of lesion can be seen including Bullous type. Bullous pemphigoid is seen mainly in the elderly age group. Letterer swiwe diseases is Langerhans cell histiocytosis. Any type of lesion can be seen in this. From Fitzpatrick dermatology in general medicine7th edition page no 505, 1414